1st symptom of vitamin A deficiency:
1. Conjunctival xerosis
2. Bitot's spots
3. Night blindness
4. Corneal ulcer

Correct answer: 3. Night blindness

Explanation: Ans. C: Night blindness Vitamin A deficiency is common in developing countries but rarely seen in developed countries. Night blindness is one of the first signs of vitamin A deficiency. Xerophthalmia and complete blindness can also occur since Vitamin A has a major role in phototransduction. Vitamin A deficiency also diminishes the ability to fight infections. In countries where children are not immunized, infectious disease like measles, have higher fatality rates. Even mild, subclinical deficiency can also be a problem, as it may increase children's risk of developing respiratory and diarrheal infections, decrease growth rate, slow bone development and decrease likelihood of survival from serious illness.